Which is not a complication of PUVA therapy:
1. Premature aging of skin
2. Cataracts
3. Skin cancers
4. Exfoliative

Correct answer: 4. Exfoliative

Explanation: D. i.e. Exfoliation